Epithelium covering the Bowman's capsule
1. Simple squamous epithelium
2. Simple cuboidal epithelium
3. Simple columnar epithelium
4. Stratified squamous epithelium

Correct answer: 1. Simple squamous epithelium

Explanation: Simple squamous epithelium's typical locations

Vascular system (endothelium) 
Body cavities (mesothelium)
Bowman’s capsule (kidney)
Respiratory spaces in lung